What is used to prevent exposure in operation theatre-
1. Wooden partition
2. Lead gown
3. Nickle gown
4. Iron gown

Correct answer: 2. Lead gown

Explanation: Park's textbook of preventive and social medicine 23rd edition. * Effective protective measures include proper use of lead shields and lead rubber aprons.